In classical caesarean section more chances of rupture of uterus is in :
1. Upper uterine segment
2. Lower uterine segment
3. Utero cervical junction
4. Posterior uterine segment

Correct answer: 1. Upper uterine segment

Explanation: Upper uterine segment